What is TRUE about clomiphene?
1. Enclomiphene is anti-estrogenic
2. Pregnancy rate is comparable to placebo
3. Significantly increases sperm counts in oligospermic men
4. 1 - 2% increase in rate of twin pregnancy

Correct answer: 1. Enclomiphene is anti-estrogenic

Explanation: Clomiphene citrate Trans enclomiphene 62%: anti-estrogenic Cis zuclomiphene citrate 38% : mildly estrogenic This Primarily acts at the receptor in Hypothalamus rather than the Ovarian and Pituitary axis. Blockade increases the stimulus to the pituitary to produce more FSH. -Antagonises the beneficial actions of estrogens on the endometrium and hence a supplementation of estrogen is required in patients on higher doses of clomiphene for ovulation induction -6-12% increase in rate of twins Oligospermia relief is not the best benefit of Clomiphene...statistically, because roughly 10-15% only are benefited with this in oligospermia reversal.